What is the Neutrophil count for moderate neutropenia
1. < 500/mm'
2. 500-1000/mm'
3. > 1000/mm3
4. 100/mm3

Correct answer: 2. 500-1000/mm'

Explanation: Ans. is 'b' i.e., 500-1000mm' Mild neutropenia - Is present when the ANC is 1000-15000 cells/uL Moderate neutropenia - Is present with an ANC of 500-1000/4 Severe neutropenia ANC lower than 500 cells/pL. The risk of bacterial infection is related to both the severity and duration of the neutropenia.